Which of the following anomalies occur during the initiation and proliferation of tooth development?
1. Amelogenisis imperfecta
2. Dentinogenesis imperfecta
3. Enamel hypoplasia
4. Oligodontia

Correct answer: 4. Oligodontia

Explanation: Lack of initiation may result in oligodontia or anodontia.
Abnormal initiation may result in supernumerary teeth.